Which of the following would be the most appropriate treatment for rehabilitation of a patient who has bilateral profound deafness following surgery for bilateral acoustic schwannoma:
1. Bilateral powered digital hearing aid
2. Bilateral cochlear implants
3. Unilateral cochlear implant
4. Brain stem implant

Correct answer: 4. Brain stem implant

Explanation: Since it is a retrocochlear pathology hearing aid and cochlear implant will not help. Rehabilitation of hearing is by auditory brainstem implant (ABI), which is placed in the lateral recess of 4th ventricle where it directly stimulates the cochlear nuclei.